Kartagener syndrome is characterized by:
1. Bronchiectasis
2. Situs inversus
3. Sinusitis
4. All of the above

Correct answer: 4. All of the above

Explanation: Ans. D. All of the abovePrimary ciliary dyskinesia is also known as Kartagener syndrome. It is a combination of Situs inversus, chronic sinusitis, and bronchiectasis. It is inherited via an autosomal recessive pattern. Symptoms result from defective cilia motility.